Superior intercostal artery is a branch of
1. Costocervical trunk
2. Dorsal scapular artery
3. Thyrocervical trunk
4. Internal thoracic artery

Correct answer: 1. Costocervical trunk

Explanation: Superior intercostal arery is a branch of costocervical trunk of subclavian artery. BD chaurasia's human anatomy.6th edition volume 1.page no 219.